The nerve supply of stapedius muscle is:
1. III cranial nerve
2. V cranial nerve
3. VII cranial nerve
4. XI cranial nerve

Correct answer: 3. VII cranial nerve